Vaccine that can be safely given during pregnancy are the following except-
1. Tetanus
2. Influena
3. Rubella
4. Pneumpcoccus

Correct answer: 3. Rubella

Explanation: .vaccines containing live attenuated strains of viruses such as rubella are not administered during pregnancy duto the immunocompromised statesref:parks textbook,ed22,pg 122